Stroke prevention
1. Streptokinase
2. Streptase
3. Warfarin
4. Tissue plasminogen activator

Correct answer: 3. Warfarin

Explanation: (C) Warfarin# MEDICATIONS for TIA/STROKE PREVENTION> Anti-platelet medications:> Anti-platelet medications used to prevent and reduce the risk of stroke include: Aspirin; Aspirin/extended-release dipyridamole; Clopidogrel; Ticlopidine> Aspirin is the most commonly used preventive therapy for patients at risk for stroke. However, at least 10 percent of patients are unable to take aspirin long-term, usually due to stomach problems.> Anticoagulant medication: that is usually prescribed to reduce the risk of stroke is warfarin. Warfarin usually is prescribed in patients with atrial fibrillation and other cardiovascular disorders to reduce the risk of stroke. If you are in the hospital, heparin is an anticoagulant that may be given intravenously. Anticoagulants can also be injected into the skin to prevent clots in the legs. Such clots can form when patients are on bed rest.> Anticoagulants decrease the blood's ability to clot and prevent the formation of additional clots. If you are prescribed an anticoagulant, your follow-up will include frequent blood tests so your response to the medication can be monitored.> Treatment for acute (sudden onset) stroke is the administration of a thrombolytic agent, or "clot buster," including streptokinase or streptase and tissue plasminogen activator (TPA).> These medications can dissolve the blockage within the artery to restore blood flow to the brain. They must be given within the first three hours of the onset of stroke symptoms and are usually given in a hospital where the patient can be closely monitored. The risk, however, is bleeding into the brain, which can worsen the disability. Patients need to be carefully screened and evaluated before and after thrombolytic treatment.